GG drill and Peaso reamers are
1. Low speed engine driven instruments
2. Classified in ISO Group 1
3. Hand instruments
4. Cleaning and shaping instruments

Correct answer: 1. Low speed engine driven instruments